Phage typing is useful as an epidemiological tool in all, except ?
1. Salmonella
2. Staph aureus
3. V. cholerae
4. Shigella dysenteriae

Correct answer: 4. Shigella dysenteriae

Explanation: Ans. is 'd' i.e., Shigella dysenteriae